Ostmann fat pad is related to
1. Ear lobule
2. Buccal mucosa
3. Eustachian tube
4. Tip of nose

Correct answer: 3. Eustachian tube

Explanation: *There are small fat bodies located inferomedial to Eustachian tube. These are called Ostmann fat pads*They are important in normal closure of Eustachian tube and preventing transmission of nasopharyngeal pressure to the middle ear*These fat pads are absent in patulous tube syndromeRef: PL Dhingra, Diseases of Ear, Nose & Throat, 7th edition, pg no. 62